Trifoliate appearance is seen in
1. CHPS
2. Achalasia
3. Peptic ulcer
4. Pneumoperitoneum

Correct answer: 3. Peptic ulcer

Explanation: Trifoliate appearance is due to secondary duodenal diverticula which occurs as a result of scarring of peptic ulcer.